A 2 year old child presents with scattered lytic lesions in the skull. Biopsy revealed Langerhans giant cells. The most commonly associated marker with this condition will be -
1. CD 1a
2. CD57
3. CD3
4. CD68

Correct answer: 1. CD 1a

Explanation: Ans. (a) CD 1a(Ref: Robbins 9th/pg 621-622)Clinical features are s/o LCH. The most commonly associated marker with this condition will be CD 1a